Type of reaction in Type I Lepra reaction is
1. Type I
2. Type II
3. Type III
4. TypeIV

Correct answer: 4. TypeIV

Explanation: Type IV delayed Hypersensitivity reaction
Lepra reactions
Type 1 reaction is also called as “Downgrading” or “reversal” reaction
• It occurs in Borderline Leprosy
• It is type “IV delayed Hypersensitivity reaction”.